A 56-year-old female presents with severe chest pain and breathlessness after coming back from cremation grounds due to death of her husband. ECG is performed which shows ST elevation in the precordial leads, most noticeably in V2-V3. Troponin T and BNP are mildly elevated. Invasive coronary angiography shows completely normal coronary arteries. A transthoracic echocardiogram demonstrates apical akinesis and a left ventricular ejection fraction of 40% . What is the most likely diagnosis?
1. Anxiety
2. Septal myocardial infarction
3. Coronary artery spasm
4. Takotsubo cardiomyopathy

Correct answer: 4. Takotsubo cardiomyopathy

Explanation: * Angiography is Normal in spite of all finding of MI * Apical Akinesia & low ejection fraction = Both pointing towards Takotsubo cardiomyopathy Tx= Intraoic balloon pump (IABP)